Hernia with hydrocele is ______ hernia:
1. Gibbon's
2. Fruber's
3. Dobson's
4. leobel's

Correct answer: 1. Gibbon's

Explanation: Gibbon's hernia Hernia with Hydrocele Berger's hernia Hernia into pouch of Douglas Beclard's hernia Femoral hernia through opening of saphenous vein Amyand's hernia Inguinal hernia containing appendix Oglive's hernia Hernia through the defect in conjoint tendon just lateral to where it inserts with the rectus sheath Stammer's hernia Internal hernia occuring through window in the transverse mesocolon after retrocolic gastrojejunostomy Peterson hernia Hernia under Roux limb after Roux-en-y gastric bypass Velpeau hernia Hernia infront of femoral vessels Holthouse hernia Inguinal hernia with extension of the loop of intestine along inguinal ligament Ref: Bailey 27th edition Pgno: 1252